Shigella can be differentiated from E.coli by all of the following features except?
1. shigella does not produce gas from glucose
2. shigella dose not ferment lactose
3. shigella does not ferment mannitol
4. shigella has no flagella and is non motile

Correct answer: 3. shigella does not ferment mannitol